Morbid jealousy is seen in:
1. Alcoholism
2. Persons who are isolated from society
3. Social phobia
4. Depression

Correct answer: 1. Alcoholism

Explanation: Ans: A (Alcoholism) Ref: Synopsis of Psychiatry, Kaplan & Sadock,10th editionExplanation:Morbid jealousy is pathological suspiciousness of fidelity of close ones, usually spouse.It is one of "overvalued ideas".An overvalued idea is also a false belief, but contrary to delusion, the person is less convinced and not sure/firm (i.e., shakeable).Morbid jealousy is seen in chronic alcoholics.